What is the most frequent causative agent for acute epiglottitis in children under 5 years of age?
1. Haemophilus influenzae type B
2. Influenza virus type A
3. Para influenza virus type 1
4. Staphylococcus aureus

Correct answer: 1. Haemophilus influenzae type B

Explanation: a. Haemophilus influenzae type B(Ref: Nelson's 20/e p 2032-2033)Etiology of Epiglottitis: H influenzae type B. Pneumococcus, b-hemolytic Streptococcus and Staphylococccus